Goblet cells secrete
1. HCI
2. Pepsin
3. Mucus
4. Serolonin

Correct answer: 3. Mucus

Explanation: Apart from comprising the epithelial lining of various organs, production of large glycoproteins and carbohydrates, the most important function of goblet cells is the secretion of mucus. This mucus is a gel-like substance that is composed mainly of mucins, glycoproteins, and carbohydrates.Ref: